Gleason scoring is done for
1. Prostatic cancer
2. Benign prostatic hypertrophy
3. Bladder cancer
4. Colon cancer

Correct answer: 1. Prostatic cancer

Explanation: Prostate cancer is diagnosed histologically by the Gleason grading system, which evaluates the level of abnormality in the patterns of the glandular architecture of the prostate in comparison to normal. Prostate cancers exhibit heterogeneity within the tissue, and so two histological areas of the prostate are each scored between 1 and 5, with 1 being the most differentiated and 5 being the least differentiated.The scores are added to give an overall Gleason score of between 2 and 10